Boy with sickle cell trait.. what mode of anaesthesia will u avoid in him??
1. IVRA (intravenous regional anesthesia)
2. Supraclavicular brachial plexus block
3. Br plexus block infraclavicular approach
4. Br plexus block axillary approach (humeral) approach.

Correct answer: 1. IVRA (intravenous regional anesthesia)

Explanation: Intravenous Regional Anaesthesia or Biers block absolute C/I 1. Sickle cell trait 2. peripheral vascular Disease 3. Scleroderma